All of the following has HLAB27 associated with uveitis except
1. Ankylosing spondylitis
2. Behcets syndrome
3. Reiters syndrome
4. None of the above

Correct answer: 2. Behcets syndrome

Explanation: Ankylosing spondylitis and Reiters syndrome:

Both involve young males who are positive for HLA-B27.

Behcet's syndrome:

The disease typically affects the young men who are positive for HLA-B51.